Which of the following forms of ischemic heart disease manifests with slowly progressive heart failure, with or without other clinical manifestations of myocardial ischemia?
1. Chronic ischemic heart disease
2. Myocardial infarction
3. Prinzmetal angina
4. Stable angina

Correct answer: 1. Chronic ischemic heart disease

Explanation: Atherosclerosis of coronary arteries is the underlying pathologic change in the great majority of cases of ischemic heart disease. Ischemic heart disease may manifest with several clinical syndromes depending on distribution and morphology of atherosclerotic changes and rate of progression. A slowly progressive increase in luminal stenosis in all major coronary vessels results in diffuse ischemia of the myocardium and dropout of scattered myocytes throughout the ventricular walls. Eventually, such a reduction in myocardial mass will lead to decreased contractility and heart failure. Patients with this chronic ischemic heart disease often come to clinical attention with signs and symptoms of congestive heart failure, sometimes without any history of chest pain or arrhythmias.Myocardial infarction may be clinically silent (ie, without pain), although it is usually associated with severe chest pain. If the infarct is extensive, cardiogenic shock ensues. All forms of angina can be easily ruled out as correct choices since angina indicates, by definition, paroxysmal chest pain due to reversible myocardial ischemia. Prinzmetal angina is an uncommon form of angina occurring at rest and caused by vasospasm. Stable angina refers to chest pain with a predictable pattern of onset, usually after physical efforts, emotional excitement, or any cause of increased cardiac load. Ref: Antman E.M., Selwyn A.P., Loscalzo J. (2012). Chapter 243. Ischemic Heart Disease. In D.L. Longo, A.S. Fauci, D.L. Kasper, S.L. Hauser, J.L. Jameson, J. Loscalzo (Eds), Harrison's Principles of Internal Medicine, 18e.